Acute osteomyelitis is most frequently caused by which of the following microorganisms?
1. Gonococcus
2. Enterococcus
3. Streptococcus
4. Staphylococcus

Correct answer: 4. Staphylococcus